Cat scratch disease is characterized by?
1. Caused by a virus
2. Regional lymphadenopathy is prominent
3. More common in adults
4. All of the above

Correct answer: 2. Regional lymphadenopathy is prominent

Explanation: Ans. is `b' i.e. Regional lymphadenopathy is prominentCat-scratch disease (CSD) is a common and usually benign infectious disease caused by the bacterium Bartonella henselae, a fastidious, intracellular, gram-negative bacteria. cases are benign and self-limiting, but lymphadenopathy may persist for several months after other symptoms disappear. The disease usually resolves spontaneously, with or without treatment, in one month.